The most commonly affected component of the lateral collateral ligament complex in an "ankle sprain" is the -
1. Middle component
2. Anterior component
3. Posterior component
4. Deeper component

Correct answer: 2. Anterior component

Explanation: * The lateral collateral ligament is commonly sprained, mostly so the anterior talo - fibular component. Ref: Maheshwari 9th /e p.157